The most characteristic and frequent feature of chronic rheumatic heart disease is the development of
1. Vegetations on the endocardium
2. Aschoff bodies within the myocardium
3. Incompetence of the pulmonic valve
4. Stenosis of the mitral valve

Correct answer: 4. Stenosis of the mitral valve

Explanation: Rheumatic fever (RF) produces both acute and chronic manifestations. Acute RF produces a pancarditis of all three layers of the heart. It is manifested by myocarditis, which is characterized histologically by the Aschoff body; pericarditis, which is referred to as "bread-and-butter" pericarditis; and verrucous endocarditis. In contrast to acute RF, chronic RF produces damage to cardiac valves. The mitral valve is most commonly involved, followed by the aortic valve. The stenotic valve has the appearance of a "fish mouth" or "buttonhole." An additional finding in chronic RF is a rough portion of the endocardium of the left atrium, called a MacCallum's patch. Reference: Robbins & Cotran Pathologic Basis of Disease, 9edition.